Objectives of surveying master cast is
1. Selection of most suitable path of insertion
2. Measurement of retentive areas
3. Blocking out
4. All of the above

Correct answer: 4. All of the above

Explanation: Because surveying the master cast follows mouth preparation, the path of placement, the location of retentive areas, and the location of remaining interference must be known before proceeding with the final design of the denture framework.